Not included in Gredenigo syndrome
1. Retro-orbital pain
2. Ear discharge
3. Nystagmus
4. Diplopia

Correct answer: 3. Nystagmus